Drugs which interfere with anesthesia are :
1. Calcium channel blocker nifedipine
2. Beta blockers
3. Aminoglycosides
4. All

Correct answer: 4. All

Explanation: A i.e. Calcium channel blockers; B i.e. Beta Blockers; C i.e. Aminoglycoside - Aminoglycoside, Tetracycline & Polypeptide antibioticsQ (Mnemonic ATP) potentiate neuromuscular block - B Blockers & Calcium channel blockerQ may cause Bradycardia & AV block with anesthesia